A 63 year old male presented with sudden onset of weakness of the face and tongue and dysarthria suggestive of a lesion involving coiculonuclear tract. MRI revealed ischaemic stroke of a certain part of the internal capsule. Which of the following parts of the internal capsule was most likley affected?
1. Anterior limb
2. Genu
3. Posterior limb
4. Both genu and posterior limb

Correct answer: 2. Genu

Explanation: The coiconulcear fibers pass through the genu of the internal capsule. The coiconuclear tract (previously called corticobulbar tract) innervated the muscles of the face and tongue the facial and hypoglossal nerves. Parts of internal capsule Motor fibers/ Descending fibers Sensory fibers/ Ascending tracts Anterior limb Frontopontine Anterior thalamic radiation Genu Corticonuclear Corticospinal Superior thalamic radiation Posterior limb Corticospinal Coicorubral Frontopontine Superior thalamic radiation Retrolentiform part Pariteopontine Occipitopontine occipitotectal Posterior thalamic radiation Optic radiation Sublentiform part Temporopontine Parietopontine Auditory radiation Ref: Gray's Anatomy 41st edition Pgno: 395